Most common presentation of peutz jegher syndrome is
1. Pancreatic Ca
2. Melanoma
3. Intussusception
4. Malabsorption

Correct answer: 3. Intussusception

Explanation: Most common presentation of peutz jegher syndrome is intussusception. Mutation is STK 11 mutation.